Criteria to diagnose PID include all of the following except:
1. Uterine tenderness
2. Cervical motion tenderness
3. Nausea and Vomiting
4. Adnexal tenderness

Correct answer: 3. Nausea and Vomiting

Explanation: Criteria for the diagnosis of PID: - Minimum Criteria 1) Lower abdominal tenderness 2) Adnexal tenderness 3) Cervical motion tenderness. Additional criteria 1. Culture and senstivity of Endometrial biopsy Vaginal swab Cervical swab Culture media for Gonorrhea: Thayer Main media Chlamydia: Mc Coy cell lines (PCR preferred) 2. | ESR/CRP 3. | TLC 4. Fever>100.4degF Elaborate criteria 5. Diagnostic Laproscopy : gives direct evidence, if done, is the best way to diagnose PID 6. USG: documents pelvic/ tubo ovarian abscess Discharge criteria Temperature<99.5degF